Bajaj committee, true is -
1. Constituted in 1946
2. Recommends formation of PHC
3. Recommends health manpower policy
4. None

Correct answer: 3. Recommends health manpower policy

Explanation: Ans. is 'c' i.e., Recommends health manpower policyBaiai committeeo An "expert committee for healthpower planning, production and management" was constituted in 1985 under Dr. J.S. Bajaj. Major recommendations are :-Formulation of National medical & health education policy.Formulation of national health manpower policyEstablishment of an educational commission for health sciences (ECHS) on the lines of UGC .Establishment of health science universities in various states and union territories.Establishment of health manpower cells in centre and states.Vocationalization of education at 10+2 levels.Carrying out a realistic manpower survey.